In MDR TB, Mycobacterium tuberculosis is resistant to:
1. Isoniazid + Ethambutol
2. Rifampcin + Ethambutol
3. Isoniazid + Rifampcin
4. Isoniazid + Pyrazinamide

Correct answer: 3. Isoniazid + Rifampcin

Explanation: Mycobacterium tuberculosis resistant to Isoniazid + Rifampicin - MDR.TB
Mycobacterium.tuberculosis resistant to Isoniazid, Rifampicin and one of the Fluoroquinolone and any one of the second line drug used in Mycobacterium.tuberculosis - XDR.TB